True about acetazolamide
1. Increase sodium reabsorption and potassium secretion
2. Carbonic anhydrase inhibitor
3. Acts at ascending limb of loop of Henle
4. Increase aqueous outflow mainly

Correct answer: 2. Carbonic anhydrase inhibitor

Explanation: Ref: Katzung's, 11th ed. pg. 416* Acetazolamide is a carbonic anhydrase inhibitor which acts on the proximal tubule of nephron.* In kidney, it inhibits H+ secretion and HCO3 reabsorption, which inturn reduces sodium reabsorption.* In eye, it reduces the aqueous formation by limiting generation of bicarbonate ion in ciliary epithelium.